What is implied if a drug has more clearance than the GFR?
1. Drug is reabsorbed in the tubules
2. Drug is secreted in the tubules
3. Drug is excreted in bile
4. Drug is neither secreted nor reabsorbed

Correct answer: 2. Drug is secreted in the tubules

Explanation: The clearance of the substance equals the GFR if there is no net tubular secretion or reabsorption (Inulin), exceeds the GFR if there is net tubular secretion (PAH), and is less than the GFR if there is net tubular reabsorption (Glucose). Ref: Ganong 25th ed/page 679